Teeth which can't be used as abutment:
1. Endodontically treated teeth
2. Pulp capped teeth.
3. Both
4. None

Correct answer: 2. Pulp capped teeth.